Positive D - xylose test indicates all of the following, Except:
1. Pancreatic insufficiency
2. Small intestinal mucosal disease
3. Impaired carbohydrate absorption in small intestine
4. Malabsorption

Correct answer: 1. Pancreatic insufficiency

Explanation: Answer is A (Pancreatic insufficiency): Pancreatic insufficiency is associated with a Negative D- xylose test (Normal D-xylose excretion)